Root value of sciatic nerve -
1. S1S2S3
2. L4L5S1S2S3
3. L1L2L3
4. L2L3L4

Correct answer: 2. L4L5S1S2S3

Explanation: Sciatic nerve- L4,5 S1,2,3